In which of the following papillae of the tongue are the taste buds predominantly located?
1. Circumvallate
2. Filiform
3. Foliate
4. Fungiform

Correct answer: 1. Circumvallate